Carpel tunnel syndrome is due to compression of:
1. Radial nerve
2. Ulnar nerve
3. Palmer branch of the Ulnar nerve
4. Median nerve

Correct answer: 4. Median nerve

Explanation: Carpel tunnel syndrome is due to compression ofmedian nerve. Ref: Harrison's Internal Medicine, 14th Edition, Page 2467; Essential Orthopedics By J Maheswari, 2nd Edition, Page 257